In hepatocellular carcinoma, risk factor most important is
1. Alcoholic hepatitis
2. Schistosomiasis
3. Cirrhosis
4. Fasciolepsis buski infestation

Correct answer: 3. Cirrhosis

Explanation: Cirrhosis is the most important risk factor for HCC.
"75-85% of HCC occur in patients with macronodular cirrhosis" - Harrison